Saliva has the following functions, EXCEPT
1. Defence function
2. Digestive function
3. Absorptive function
4. Lubrication function

Correct answer: 3. Absorptive function